All of the following Vibrio species are halophilic except
1. V. cholerae
2. V. parahemolyticus
3. V. alginolyticus
4. V. flolis

Correct answer: 1. V. cholerae

Explanation: Ans. (a) V. cholerae Halophilic vibrios: Vibrios that have high requirement of NaC1. All vibrios are halophilic except V. cholerae and V. mimicus. Natural habitat of halophilic vibrios is sea water. Disease caused are: V. parahemolyticus Gastroenteritis; wound infection V. vulnificus Sepsis (in immunocompromised); secondary cellulitis V. alginolyticus (Most halophilic) Wound infections, cellulitis